The layers of amnion are deprived of the following structure:
1. Smooth muscle cells
2. Lymphatics
3. Blood vessels
4. All of the above

Correct answer: 4. All of the above

Explanation: Five separate layers of amnion are present. The inner surface, which is bathed by amnionic fluid, is a single layer of cuboidal epithelium. This epithelium is attached firmly to a distinct basement membrane that is connected to the acellular compact layer, which is composed primarily of interstitial collagens. On the outer side of the compact layer, there is a row of fibroblast-like mesenchymal cells, which are widely dispersed at term. The outermost layer of amnion is the relatively acellular zona spongiosa, which is contiguous with the second fetal membrane, the chorion laeve. The human amnion lacks smooth muscle cells, nerves, lymphatics, and importantly, blood vessels. Ref: Leveno K.J., Hauth J.C., Rouse D.J., Spong C.Y. (2010). Chapter 3. Implantation, Embryogenesis, and Placental Development. In K.J. Leveno, J.C. Hauth, D.J. Rouse, C.Y. Spong (Eds), Williams Obstetrics, 23e.